which of the following does not belong to CATOGORY B bioterrorism ?
1. plague
2. ricinus communis
3. brucellosis
4. q fever

Correct answer: 1. plague

Explanation: High Priority Agents in bioterrorism : * Category A * Easily spread; high death rates * Anthrax, botulism, plague, smallpox, tularemia, and selected hemorrhagic fever viruses * Category B * Moderately easy to disseminate * Brucellosis, food safety threats, Q fever, and other agents * Category C * Could be engineered for mass dissemination * Emerging infectious diseases ref : narayanareddy